The "V" shaped space that encircles the tooth and
present between tooth and gingiva is known as:
1. Inter dental papilla
2. Free gingiva
3. Attached gingiva
4. Gingival sulcus

Correct answer: 4. Gingival sulcus